Which hormone is under inhibitory control -
1. GH
2. Prolactin
3. FSH
4. LH

Correct answer: 2. Prolactin

Explanation: Ans. is 'b' i.e.. Prolactin o For most of the anterior pituitary hormones, it is the releasing hormone that are important but prolactin is mainly under the inhibitory control.o Hypothalamus secretes the following:Thyrotropin-releasing hormone (TRH), which causes release of thyroid-stimulating hormoneCorticotropin-releasing hormone (CRH), which causes release of adrenocorticotropinGrowth hormone-releasing hormone (GHRH), which causes release of growth hormone, and growth hormone inhibitory hormone (GHIH), also called somatostatin, which inhibits release of growth hormoneGonadotropin-releasing hormone (GnRH), which causes release of the two gonadotropic hormones, luteinizing hormone and follicle-stimulating hormoneProlactin inhibitory hormone (PIH), which causes inhibition of prolactin secretion.